Pocks on chick embryo are formed by all except -
1. Variola
2. Vaccinia
3. Chickenpox
4. Cowpox

Correct answer: 3. Chickenpox